Mucosa is involved in:
1. Psoriasis
2. Lichen planus
3. Alopecia
4. Scabies

Correct answer: 2. Lichen planus

Explanation: B i.e., Lichen planus